Squamous cell carcinoma of esophagus m/c site -
1. Upper 1/3rd
2. Middle 1/3rd
3. Lower 1 /3rd
4. Lower end of esophagus

Correct answer: 2. Middle 1/3rd

Explanation: Ans. is 'b' i.e., Middle 1/3rd o Esophageal Carcinoma is of two common histological types:-Squamous cell Ca - the MC type in worldAdenocarcinoma - where incidence is increasing at a rapid rate and is now the MC type in USA.o Distribution of Squamous Cell Ca.# Upper 1/3-10%# Middle 1/3-60%# Lower 1/3-30% o Adenocarcinoma is mainly located in lower 1/3.o So remember# MC type of esophageal Ca in world-Squamous Cell Ca# MC site-Middle 1/3# MC site of adenocarcinoma esophagus-Lower 1/3